Drug of choice for prophylaxis of acute mountain sickness:
1. Diltiazem
2. Digoxin
3. Dexamethasone
4. Acetazolamide

Correct answer: 4. Acetazolamide

Explanation: Ans. (D) Acetazolamide(Ref: KDT 8th/633-634)Acetazolamide is drug of choice for prophylaxis and treatment of acute mountain sickness.For severe cases of pulmonary edema due to high altitude sickness, dexamethasone is indicated.Best treatment of all forms of high altitude sickness problems is to descent down.